Most common Cytochrome P450 involved in drug metabolism is
1. CYP 3A4
2. CYP 1AI
3. CYP 2E1
4. CYP 2D6

Correct answer: 1. CYP 3A4

Explanation: Cytochrome P-450 (CYP) isoenzymes are grouped into families designated by numerals (1, 2, 3....; each having several sub-families designated by capita: letters (A, B, C. .... ), while individual isoenzymes are again allocated numerals (1, 2, 3 .... ). In human beings, only a few, members of three isoenzyme families (CYP 1, 2 and 3 carry out the metabolism of most of the drugs, The CYP isoenzyme: CYP3A4/5 Carryout biotransformation of largest number: (nearly 50%) of drugs. 20-30% of metabolism is done by the next common cyp2d6 In addition to liver, these isoforms are expressed in the intestine (responsible for the first-pass metabolism at this site) and kidney as well. Ref: KD Tripathi pharmacology 7th edition (page.no: 24)